Which of the following pathogens are associated with watery diarrhea after an incubation period of 8 to 14 hours?
1. Rotavirus and Norwalk virus
2. Shigella and Salmonella
3. S. aureus and Bacillus cereus
4. Bacillus cereus and Clostridium perfringens

Correct answer: 4. Bacillus cereus and Clostridium perfringens

Explanation: Bacillus cereus and Clostridium perfringens Bacillus cereus strains can produce two different toxins: a heat stable toxin that can lead to an illness after 2 to 7 hours and a heat-labile toxin that causes disease manifestations 8 to 14 hours after ingestion. The syndrome of Clostridium perfringens diarrhea usually occurs 8 to 14 hours after ingestion of the preformed toxin.